Which of the following is the radiosensitive stage of cell cycle?
1. GO
2. G1
3. G2
4. S

Correct answer: 3. G2

Explanation: Irradiation of cells may not only lead to cell death but to other changes as well.Radiation has been shown to alter a cell's progression through the cell cycle.The delay occurs at particular points in the cell cycle, such as early G2 and the G1/S interface.Multiple factors affect this kinetic alteration, including the radiation dose, dose rate, and cell type. The cell's position in the cell cycle is a factor also